Vital point is found in:
1. Cerebellum
2. Medulla oblongata
3. Hypothalamus
4. Thalamus

Correct answer: 2. Medulla oblongata

Explanation: Medulla oblongata